Which of the following statements about Atrial myxomas is true
1. Most common in left atrium
2. More common in males
3. Distance metastasis are seen
4. Most myxomas are familial

Correct answer: 1. Most common in left atrium

Explanation: Ref Harrison 19 th ed pg 1577; 289e-1 Pathologically, myxomas are gelatinous structures that consist of myxoma cells embedded in a stroma rich in glycosaminoglycans. Most are solitary, arise from the interatrial septum in the vicinity of the fossa ovalis (particularly the left atrium), and are often peduncu- lated on a fibrovascular stalk.